Which of the following is the best indicator of long-term nutritional status?
1. Mid-arm circumference
2. Height for age
3. Weight for age
4. Weight for height

Correct answer: 2. Height for age

Explanation: B Height for age a. Stunting (deficit in height for age) generally points towards a chronic course of malnutrition. b. Height is a stable measurement of growth as opposed to body weight. Whereas weight reflects only the present health status o-f the child, height indicates the events in the past also".